Exposure to 90 db and 4000Hz noise results in -
1. Auditory fatigue
2. Temporary hearing loss
3. Permanent hearing loss
4. Rupture of tympanic membrane

Correct answer: 1. Auditory fatigue

Explanation: Auditory fatigue is an effect of noise exposure. It appears in 90dB region and greatest at 4000Hz. May be associated with whistling and buzzing in ears. Other effects are deafness(temporary at 4000 to 6000 Hz), interference with speech, annoyance, reduced efficiency. Park's Textbook of Preventive and Social Medicine, 25th Edition, Pg 802